All are toxicities seen with amiodarone therapy except.
1. Pulmonary fibrosis
2. Corneal microdeposits
3. Cirrhosis of liver
4. Productive cough

Correct answer: 4. Productive cough

Explanation: Main adverse effects of Amiodarone are pulmonary fibrosis, corneal deposits, liver cirrhosis, photosensitivity, thyroid disorders due to the iodine content. It is a class 3 antiarrhythmic drug it is considered a broad spectrum antiarrhythmic drug REF.Essentials of Pharmacology KD Tripathi 8th ed.